All of the following are DNA oncogenic viruses except -
1. Epstein Barr virus
2. Hepatitis B virus
3. Adult T cell Leukemia/lymphoma virus
4. Kaposi sarcoma virus

Correct answer: 3. Adult T cell Leukemia/lymphoma virus

Explanation: adilt T cell luekemis virus ( HTLV) IS RNA retro virus REF:MICROBIOLOGY ANANTHA NARAYANAN NINTH EDITION PAGE.565